Narcolepsy is associated with?
1. Decreased NREM sleep
2. Hypnagogic hallucination
3. Late age of onset
4. Normal sleep architecture

Correct answer: 2. Hypnagogic hallucination

Explanation: Ans. is 'b' i.e., Hypnagogic hallucination Narcolepsy* This is characterized by excessive day time sleep, often disturbed night time sleep and decreased in the REM sleep.* Age of onset is between 10-20 years.* There is irresistible desire to sleep and bouts of sudden sleep each lasting for 10-30 minutes occurring during day time.* In majority of cases narcolepsy is associated with one or more accessory symptoms : -i) Cataplexy: - It is the most common accessory symptom and is characterized by sudden decrease in muscle tone, either, local or generalized.ii) Hypnagogic hallucination: - Hallucination occurring just before falling.iii) Sleep paralysis (least common)* Treatment of narcolepsy includes stimulant medications (methyphenidate, amphetamines) or modafinil